The most common cause of superficial throm-bophlebitis is
1. Intravenous catheters / infusion
2. DVT
3. Varicose veins
4. Trauma

Correct answer: 1. Intravenous catheters / infusion